One of the following activities is not mediated through b2 adrenergic receptors -
1. Stimulation of lipolysis
2. Inreased hepatic gluconeogenesis
3. Increased muscle glycogenolysis
4. Smooth muscle relaxation

Correct answer: 1. Stimulation of lipolysis

Explanation: Ans. 'a' i.e., Stimulation of lipolysis o Lipolysis is mediated by beta 3 receptors whereas other actions are done by stimulation of beta 2 receptors.]